Grey Turner's sign (flank discoloration) is seen in
1. Acute pylonephritis
2. Acute cholecystisis
3. Acute pancreatitis
4. Acute peritonitis

Correct answer: 3. Acute pancreatitis

Explanation: Sign seen due to enzyme seep across etroperitoneum causing hemorrhagic spots and ecchymosis in the flanks SRB,5th,683.